A patient given one of the following drug develops low grade fever, muscle and joint ache, chest pain and skin rashes. Lab investigations showed presence of antihistone antibodies. Symptoms however subsided after discontinuation of the drug. Which is the drug that caused the reaction?
1. Hydralazine
2. Rifampicin
3. Paracetamol
4. Furosemide

Correct answer: 1. Hydralazine

Explanation: Hydralazine, procainamide, isoniazid and penicillamine are most commonly associated with drug induced lupus. The list of substances that can induce lupus-like disease is long. Among the most frequent are: Antiarrhythmic, procainamide, disopyramide, and propafenone Antihypertensive: hydralazine; several angiotensin-converting enzyme inhibitors and beta blockers Antithyroid: propylthiouracil Antipsychotics: chlorpromazine and lithium Anticonvulsants: carbamazepine and phenytoin Antibiotics: isoniazid, minocycline, and macrodantin Antirheumatic: sulfasalazine Diuretic: hydrochlorothiazide Antihyperlipidemics: lovastatin and simvastatin Interferons and TNF inhibitors